Most common site of cancer penis:
1. Glans penis
2. Prepuce
3. Shaft
4. Coronal Sulcus

Correct answer: 1. Glans penis

Explanation: Ans. (a) Glans penisRef Bailey and Love 27th Edition, Page 1492* Most common site of involvement of cancer penis (Squamous Cell Cancer)# Glans - 50%# Prepuce- 20%# Both glans and prepuce# Coronal sulcus# Shaft